Rider's cataract is seen in –
1. Blue dot cataract
2. Zonular cataract
3. Anterior capsular cataract
4. Coronary cataract

Correct answer: 2. Zonular cataract

Explanation: The opacity in zonular (lamellar) cataract is usually sharply demarcated and the area of the lens within and around the opaque zone is clear, although linear opacities like spokes of a wheel, called riders may run outwards towards the equator.